Trendelenburg's procedure in treatment of varicose veins is:
1. Ligation of short saphenous vein
2. Stripping of superficial varicose veins
3. Sapheno-femoral ligation
4. Ligation of perforators

Correct answer: 3. Sapheno-femoral ligation

Explanation: Ans: C (Sapheno-femoral ligation) Ref: Bailey & Love's Short Practice of Surgery, 25th Edition, pg. 929-932 and Sab is ton Textbook of Surgery,19th Edition pg. 1805-11 Explanation: Indications for Intervention in Varicose Veins Cosmos is Symptoms refractory to conservative therapy Bleeding from a varix Superficial thrombophlebitis Li podermato sclerosis Venous stasis ulcer The Principles are to: Ligate the point of communication, the sapheno- femoral and/or saphenopopliteal junctions. Remove the major part of the incompetent trunk to prevent connections to the tributaries. Individually remove tributaries by making minor cut-downs and teasing them out from under the skin (avulsions). Management of Great Saphenous Varicosity Surgery Saphenofemoral junction ligation and greater saphenous stripping Non Operative Methods Ultrasound Guided Foam Sclerotherapy Radiofrequency ablation Endovenous laser ablation Management of Short Saphenous Vein Varicosity Saphenopopliteal junction ligation and lesser saphenous stripping Management of Minor Varicosities Injection sclerotherapy using sodium tetradecyl sulphate Management of Perforator Incompetence Subfascial endoscopic perforator surgery Also Know CEAP Classification C Clinical signs (Grade 0-6), supplemented by "A" for asymptomatic and "S" for symptomatic presentation E Classification by cause {Etiology)-- congenital, primary, secondary A Anatomic distribution--superficial, steep, or perforator, alone or in combination P Pathophysiologic dysfunction--reflux or obstruction, alone or in combination CLASS FEATURES 0 No visible or palpable signs of venous disease 1 Telangiectasia, reticular veins, malleolar flare 2 Varicose veins 3 Edema without skin changes 4 Skin changes ascribed to venous disease (e.g., pigmentation, venous eczema, lipodermatosclerosis) 5 Skin changes as defined above with healed ulceration 6 Skin changes as defined above with active ulceration